All of the following are deliriant poisons, EXCEPT:
1. Cannabis
2. Belladonna
3. Dhatura
4. Aconite

Correct answer: 4. Aconite

Explanation: Dhatura, Cannabis, and Belladonna are deliriant poisons. Aconite is a cardiac poison. Hypotension, cardiac arrhythmia with AV block occurs. At first there is tachycardia, but in later stages bradycardia occurs due to AV block. Ref: The Essentials of Forensic Medicine and Toxicology by KS Narayan Reddy, 27th edition, Page 551-552.